'Lost Salt Technique' is used to fabricate
1. Maryland bridge
2. Rochette bridge
3. Cantilever bridge
4. Virginia bridge

Correct answer: 4. Virginia bridge